Rugger Jersey Spine is seen in -
1. Fluorosis
2. Achondroplasia
3. Renal osteodystrophy
4. Marfan's syndrome

Correct answer: 3. Renal osteodystrophy

Explanation: Renal abnormalities usually precede the bone changes by several years. Children are more severely affected than adults: they are usually stunted, pasty-faced and have marked rachitic deformities associated with myopathy. Xrays show widened and irregular epiphyseal plates. In older children with longstanding disease there may be displacement of the epiphyses (epiphyseolysis). Osteosclerosis is seen mainly in the axial skeleton and is more common in young patients: it may produce a 'rugger jersey' appearance in lateral x-rays of the spine, due to alternating bands of increased and decreased bone density IMAGE SHOWS RUGGER JERSEY SPINE IN RENAL OSTEODYSTROPHY REF:Apley's system of orthopaedics- 9th edn- pg no 142.